Valve usually not involved in rheumatic fever
1. Mitral
2. Aortic
3. Pulmonary
4. Tricuspid

Correct answer: 3. Pulmonary

Explanation: The mitral valve alone is involved in 70% of cases, with combined mitral and aortic disease in another 25%; the tricuspid valve usually is less frequently (and less severely) involved; and the pulmonic valve almost always escapes injury. (Robbins basic pathology,9th edition,pg no.391)